Neurotransmitter changes proposed in cases of Anxiety
1. Increased NE, and decreased GABA and serotonin
2. Decreased NE and serotonin, and increased Ach
3. Decreased GABA and Ach
4. Increased serotonin, and decreased NE and GABA

Correct answer: 1. Increased NE, and decreased GABA and serotonin

Explanation: There are various neurotransmitters that is studied under the neurobiology of anxiety they are mainly as follows decreased GABA, hence benzodiazepines which acts on GABA is a onderful anti anxiety drug decrased serotonin , hence SSRI are used in management of all anxiety disorders increased norepinephrine, thus proponolol which is a beta blocker is used in the management of anxiety especially in social anxiety disorders. Reference: Kaplon and sadock, 11 th edition, synopsis of psychiatry, 11 th edition, pg no. 387